Atherosclerosis causes fibroblast plaque formation by injury to?
1. Endothelium
2. Fibroblast
3. Macrophage
4. Smooth muscle cells

Correct answer: 1. Endothelium

Explanation: Ans. (a) Endothelium(Ref: Robbins 9th/pg 498-499; 8th/pg 505; Harrison 18th/pg 1503)Pathogenesis of atherosclerosis best explained by the 'Response to Injury hypothesis to endothelium